A 50 year old farmer presents with warty lesion over left foot. Examination shows warts, cut nodules and florids of cauliflower. KOH mount shows yeast with dark brown irregular septae. Culture on Sabourauds agar shows sclerotic bodies. Probable diagnosis
1. Rhinosporidiosis
2. Mycetoma
3. Entomopthromycosis
4. Chromoblastomycosis

Correct answer: 4. Chromoblastomycosis

Explanation: Answer: d) Chromoblastomycosis (JAWETZ 27th EDITION P-671)CHROMOBLASTOMYCOSIS/VERRUCOUS DERMATITIS* The fungi are introduced into the skin by trauma, often of the exposed legs or feet.* Over months to years, the primary lesion becomes verrucous and wart-like with extension along the draining lymphatics.* Cauliflower-like nodules with crusting abscesses eventually cover the area* Muriform or Sclerotic bodes seen on histological examination